Japanese encephalitis vaccine is:
1. Live attenuated
2. Inactivated toxoid
3. Cellular fractions
4. Combined

Correct answer: 1. Live attenuated

Explanation: Ans. (a) Live attenuatedRef : K. Park 23rd ed. / 286-87* JE vaccine is a live attenuated vaccine. It is available in killed vaccine form also.* Strain: SA 14-14-2- liveNakayama strain- killed* One dose of JE vaccine is given at 16-24 months of age.Also Know* MC live vaccine used: BCG* MC killed vaccine used: Pertusis* All live vaccines are contra-indicated in I pregnancy EXCEPT: YF and OPVLive VaccineKilledToxoidsCell FractionCombined* BCG* OPV (sabin)* MMR* Yellow fever* Live J.E.* Live H1N1* Live choleraHep AHep B PertusisIPV (salk)Rabies Meningo- coccalKilled J.E.Killed H1N1DiphtheriaTetanusHep BMeningo- coccalHiBPneumo- coccalDPTMMR